Oxidative decarboxylation of pyruvate requires
1. NADP+
2. Cytochromes
3. pyridoxal phosphate
4. COASH

Correct answer: 4. COASH

Explanation: Inside the mitochondria, pyruvate is oxidatively decarboxylated to acetyl CoA by pyruvate dehydrogenase (PDH). It is a multi-enzyme complex with 5 co-enzymes and 3 apo-enzymes.
The co-enzymes needed are:

Thiamine pyrophosphate (TPP)
Co-enzyme A (CoA)
FAD
NAD+
Lipoamide.
The enzyme part of the PDH complex is made up of three component enzymes.

Reference: Vasudevan 7th  ed, pg 116